About biotransformation not true ?
1. Active metabolite generation
2. Polar to less polar
3. Less polar to more polar
4. Generate active drug from prodrug

Correct answer: 2. Polar to less polar

Explanation: Ans. is 'b' i.e., Polar to less polar